Pseudo koebener's phenomeneon is/are seen in – 
a. Warts
b. Molluscum contagiosum
c. Lichen planus
d. Psoriasis
1. ab
2. bc
3. cd
4. ad

Correct answer: 1. ab

Explanation: Pseudo-koebner's phenomenon is seen in plane wart, molluscum contagiosum and eczematous lesions.